Management of epidural abscess is?
1. Immediate surgical evacuation
2. Conservative management
3. Antibiotics
4. Aggressive debridement

Correct answer: 1. Immediate surgical evacuation

Explanation: ANSWER: (A) Immediate surgical evacuationREF: Bailey and love 25th ed page 474Epidural abscessThis condition is often a surgical emergency. The majority of cases occur within the thoracic spine. The patient presents with increasing pain, fevers, raised ESR and raised white cell count. Without treatment, significant neurological deficit occurs and, eventually, paralysis may develop.